18 year old female patient comes complaints of upper abdominal pain, nausea, vomiting and abdominal distention for three days.  There is  history of recent weight loss. The aorto-mesenteric angle measured 11°.what is the appropriate treatment
1. Weight gain
2. Duodenojejunostomy
3. CECT to rule out tumors
4. Duodenoduodenostomy

Correct answer: 1. Weight gain

Explanation: Normal angle between superior mesenteric artery and aorta is 40 °
Primary goal of the treatment is weight gain so that increases fat pad between arteries